Vitamin beneficial in osteoporosis in combination with Vitamin D is -
1. Vitamin E
2. Vitamin A
3. Vitamin K
4. Vitamin B

Correct answer: 3. Vitamin K

Explanation: Ans. is 'c' i.e., Vitamin K o Recently it has been found that Vitamin K (especially) K2 also improves calcium deposition in bone as it activates osteocalcin (produced by osteoblasts), which is needed for calcium trapping.